Lisch nodules in the iris are seen in-
1. VHK Syndrome
2. Neurofibromatosis 1
3. Tuberous sclerosis
4. Retinoblastoma

Correct answer: 2. Neurofibromatosis 1

Explanation: Ans. is 'b' i.e., Neurofibromatosis 1 * Lisch nodules are the most common type of ocular involvement in NF-1. These nodules are melanocytic hamartomas, usually clear yellow to brown, that appear as well-defined, dome-shaped elevations projecting from the surface of the iris.